Which of the following is Pan leukocyte marker
1. CD19
2. CD3
3. CD45
4. CD45 RO

Correct answer: 3. CD45

Explanation: CD 45 is Pan leukocyte marker.
CD 45 RO is marker for MEMORY cell.